Provisional short antiretroviral regime given in the peripartum period reduces the risk of vertical transmission by
1. 35%
2. 50%
3. 65%
4. 75%

Correct answer: 2. 50%

Explanation: Most transmission of HN occurs during pregnancy and birth, breastfeeding may account for 5-15% of infants becoming infected after delivery Studies have demonstrated that truncated regimens of zidovudine alone or with Lamivudine given to mother during last few weeks of pregnancy or even during labour & delivery & to the infant for a week or less reduced transmission to infant by 50% compared to placebo. rEF : katzung 12 th ed.